A membrane phospholipid that does not contain glycerol is:
1. Lecithine
2. Cardiolipin
3. Sphingomyelin
4. Cellulose

Correct answer: 3. Sphingomyelin

Explanation: Sphingomyelin has got sphingosine alcohol, not the glycerol. Lecithin & cardiolipin has got glycerol in it and they are membrane phospholipid.